Cereals and pulses are considered complementary since –
1. Cereals are deficient in methionine
2. Cereals are deficient in methionine and pulse are deficient in lysine
3. Cereals are deficient in lysine and pulses are deficient in methionine
4. Cereal proteins contain non - essential amino-acids, while pulse proteins contain

Correct answer: 3. Cereals are deficient in lysine and pulses are deficient in methionine

Explanation: Supplementary action of proteins                                        

Cereals are deficient in essential amino acid Lysine & threonine.
Pulses are deficient in essential amino acid Methionine.
So if cereals are eaten with pulses, their proteins complement each other & provide a more balanced and complete protein intake.